Drug of choice in supraventricular tachycardia in children:
1. Digoxin
2. Adenosine
3. Verapamil
4. Procainamide

Correct answer: 2. Adenosine

Explanation: Ans: b (Adenosine) Ref: Nelson,, 18th ed, p. 1946; 17th ed, p. 1560* In stable patients, adenosine by rapid intravenous push is the treatment of choice because of it rapid onset of action and minimal effect on cardiac contractility* Calcium channel blockers such as verapamil have also been used in the initial treatment of SVT in older children. But it may reduce cardiac output and produce hypotension and cardiac arrest in infants younger than 1 year. Therefore it is contraindicated in infants younger than 1 year.* Supraventricular tachycardia (SVT) involves component of the conduction system within or above the bundle of His.* Three major categories of SVT1. Re entrant tachycardia using an accessory pathway2. Re entrant tachycardia without an accessory pathway.3. Ectopic or automatic tachycardiasRe entrant tachycardia using an accessory pathway is the most common type of SVT in infants.An unoperated congenital heart disease in which SVT may occur -- Ebstein anomaly.